Edgeoscopy refers to
1. Evaluation of fingerprint ridges
2. Evaluation of edges of lip print
3. Evaluation of edges of foot print
4. Evaluation of palatal rugae

Correct answer: 1. Evaluation of fingerprint ridges

Explanation: Edgeoscopy -evaluation of fingerprint Dactylography-evaluation of fingerprints Ridgeology-evaluation of friction ridges on fingerprints Poroscopy-evaluation of sweat pores openings on fingerprint ridges Cheiloscopy-evaluation of lip prints Podography - evaluation of foot prints Rugoscopy-evaluation of palatal Refernce:Encyclopedia of Forensic Medicine and legal medicine PG no 9,vol 3